Herpetic keratitis is treated by
1. Analgesics
2. Atropine
3. Steroids
4. Idoxuridine

Correct answer: 4. Idoxuridine

Explanation: D i.e. Idoxuridine Drug of choice for herpetic keratitis is Acyclovir Q (topical) Other antiviral drugs used are - Idoxuridine - Trifluorothyrnidine - Vidarabine